Crohn's Disease most commonly affects the -
1. Ileum
2. Rectum
3. Duodenum
4. Stomach

Correct answer: 1. Ileum

Explanation: Ans. is 'a' i.e., Ileum Commonest sites of various intstinal diseasesUlcerative colitisRectumCrohn's diseaseIleumCA colonRectumDiverticulosisSigmoid colon